Keshan disease is caused by deficiency of:
1. Thiamine
2. Zinc
3. Selenium
4. Proteins

Correct answer: 3. Selenium

Explanation: Ans. C. Selenium* Selenium is a constituent of glutathione peroxidase, an antioxidant in red blood cells and other tissues.* Glutathione peroxidase scavenges free Hydro peroxidases generated during fatty acid oxidation, thus protecting the cell from damage due to free radical formation.* Severe deficiency is the major cause of Keshan disease, which presents as cardiomyopathy in young children. Skeletal myopathies have also been reported.* Mild deficiency is associated with macrocytosis and loss of hair pigment.